A 14 week pregnant woman comes to you with abdominal pain. USG shows that the foetus is in a rudimentary horn of uterus. What is the BEST line of management in this case?
1. Hysterectomy
2. Removal of the pregnant horn of the uterus
3. Induction using prostaglandins
4. No treatment is needed

Correct answer: 2. Removal of the pregnant horn of the uterus

Explanation: In this case as the muscular tissue of the rudimentary horn is poorly developed and can not keep pace with the progressively enlarging foetus, rupture takes place. So it has to be removed. Note:- At times it may be necessary to do a hysterectomy as it may not always be possible to conserve the main body of the uterus. Ref: Mudaliar, Edition -9, Page -235.